Classical 'Rain drop' lesions seen in -
1. Burkitt's lymphoma
2. Hodgkin's lymphoma
3. Multiple myeloma
4. Haemophilia

Correct answer: 3. Multiple myeloma